Which is not mutagenic?
1. X-rays
2. UV rays
3. Ultrasound
4. Beta rays

Correct answer: 3. Ultrasound

Explanation: Ans. Ultrasound